Elemental iron and folic acid contents of pediatric ironfolic acid tablets supplied under Rural Child Health (RCH) programme are -
1. 20 mg iron & 100 microgram folic acid
2. 40 mg iron & 100 microgram folic acid
3. 40 mg iron & 50 microgram folic acid
4. 60 mg iron & 100 microgram folic acid

Correct answer: 1. 20 mg iron & 100 microgram folic acid

Explanation: 20 mg iron &100 micrograms folic acid. Reference:National Health Programmes of India by Dr.J.Kishore,8th edition,page no:413.